A 3-year-old boy is admitted to the hospital because of a soft, anterior, midline cervical mass. When the patient is asked to protrude his tongue, the mass in the neck is observed to move upward. Which of the following is the most likely diagnosis?
1. A thyroglossal duct cyst
2. Defect in sixth pharyngeal arch
3. A branchial cyst
4. Cystic fistula of the third pharyngeal arch

Correct answer: 1. A thyroglossal duct cyst

Explanation: Thyroglossal duct cysts occur due to retention of a remnant of the thyroglossal duct along the path followed by the descending thyroid gland during development. The path begins from the foramen cecum of the tongue and descends in the midline to the final position of the thyroid. The sixth pharyngeal arch provides origin to muscles and cartilage of the neck and would produce a midline mass connected to the tongue. A branchial cyst or fistula would not be present in the midline. The first pharyngeal arch gives rise to muscles of mastication and the malleus and incus. The third pharyngeal arch provides origin to the stylopharyngeus muscle and hyoid bone.